Which of the following drug is active selectively against Anaerobic and Microaerophilic organisms ?
1. Clindamycin
2. Tetracycline
3. Metronidazole
4. Aminoglycosides

Correct answer: 3. Metronidazole

Explanation: Metronidazole undergoes reduction reaction by receiving single electron from Microaerophilic and Anaerobes pathogens which converts into a highly reactive Nitroradical Anion and damages the pathogen DNA . Metronidazole manifests antibacterial activity against all Anaerobic cocci; Anaerobic gram-negative bacilli(incl.Bacteroides sp.); Anaerobic spore-forming gram-positive bacilli (such as Clostridium); and Microaerophilic bacteria such as Helicobacter and Campylobacter sp. So Metronidazole is less active against Aerobic organisms because of the lack of Radical-mediated mechanism. Nonsporulating gram-positive bacilli often are resistant, as they are aerobic and facultatively anaerobic bacteria.